Major immunoglobulin secreted by intestine ?
1. IgG
2. IgM
3. IgA
4. IgD

Correct answer: 3. IgA

Explanation: Ans. is 'c' i.e., IgA